All of the following enzymes and their reactions are involved in the metabolism of Xenobiotics, EXCEPT:
1. Cytochrome oxidase
2. Cytochrome p 450
3. Methylation
4. Hydroxylation

Correct answer: 1. Cytochrome oxidase

Explanation: Cytochrome oxidase is not mentioned as an enzyme in the metabolism of xenobiotics but Cytochrome P450 and Hydroxylation reactions are involved in Phase-1 metabolic reactions and Methylation forms a part of phase II reactions. Ref: Harpers Biochemistry, 27th Edition, Page 633; Lippincott's Illustrated Reviews: Pharmacology, 4th Edition, Page 14; Goodman and Gilman's The Pharmacological Basis of Therapeutics, 11th Edition, Page 44